Among drugs of HAART, which of the following drugs has maximum tendency of peripheral neuropathy?
1. Lamivudine
2. Zidovudine
3. Stavudine
4. Nevirapine

Correct answer: 3. Stavudine

Explanation: Stavudine has maximum, while lamivudine has minimum peripheral neuropathyRef: Goodman Gillman 12thed pg: 1635